Which of the following advises is not given to a 35-year-old female patient with recurrent renal stone?
1. Increase water
2. Restrict protein
3. Restrict salt
4. Restricted calcium intake

Correct answer: 4. Restricted calcium intake

Explanation: Ans. (d) Restricted calcium intakeRef: Smith 17th Edition, Page 271Kidney stone patients must have increased intake of:* Fluids* Calcium containing diet* Phytates* Vitamin C* PotassiumKidney stone patients must decrease the intake of:* Oxalates* Proteins from animals (Mutton)* Sucrose* Fructose* Sodium